A patient with head injury opens eyes on painful stimulus, uses inappropriate words and localizes pain. What is his GCS score:
1. 8
2. 10
3. 12
4. 14

Correct answer: 2. 10

Explanation: Ans. B i.e. 10